Pancytopenia with a cellular marrow is seen in all, except:
1. PNH
2. Megaloblastic anemia
3. Myelodysplastic syndrome
4. Congenital dyserythropoietic anemia

Correct answer: 4. Congenital dyserythropoietic anemia

Explanation: . Congenital dyserythropoietic anemia